Transverse facial artery is the branch of
1. Facial artery
2. Maxillary artery
3. Superficial Temporal artery
4. Occipital artery

Correct answer: 3. Superficial Temporal artery

Explanation: Superficial Temporal Artery It is the smaller terminal branch of the external carotid artery. It begins, behind the neck of the mandible undercover of the parotid gland.In addition to the branches which supply the temple, the scalp, the parotid gland, the auricle and the facial muscles, the superficial temporal artery gives off a transverse facial artery and a middle temporal artery.Reference: Chourasia; 6th edition; 72nd page